Not a cause of acute pancreatitis
1. Mumps
2. Gall stones
3. Trauma
4. Hypocalcemia

Correct answer: 4. Hypocalcemia

Explanation: Ans. (d) HypocalcemiaRef: Bailey and Love 26th/e p. 1127* Hypercalcemia and Hypertriglyceridemia causes acute pancreatitis * Recall the mnemonic I mentioned in theory "GET SMASHED" for acute pancreatitis causes.